Pulsus bisferiens pulse is characteristic of (REPEATED QUESTION)
1. Aortic stenosis and aortic regurgitation
2. Aortic regurgitation
3. Hypertrophic obstructive cardiomyopathy
4. All of the above

Correct answer: 4. All of the above

Explanation: Pulsus bisferiens is an increased pulse with a double systolic peak separated by a distinct mid-systolic dip. Causes include Aortic regurgitation and concomitant Aortic stenosis and regurgitation. It is also seen in hypertrophic obstructive cardiomyopathy. Reference : MacLeod's Clinical Examination, 13th Edition, page no : 111.